Which of the following drugs acts by blocking RNA transcription?
1. Rifampicin
2. Streptomycin
3. Isoniazid
4. Chloramphenicol

Correct answer: 1. Rifampicin

Explanation: DRUG MECHANISM Rifampicin Inhibit transcription of RNA Isoniazid Act on mycobacterial membrane Streptomycin Inhibit protein synthesis Chloramphenicol Inhibit protein synthesis